Not an abductor of shoulder -
1. Deltoid
2. Trapezius
3. Supraspinatus
4. Latissimus dorsi

Correct answer: 4. Latissimus dorsi

Explanation: Ans. is 'd' i.e., Latissimus dorsi Muscles producing movements at shoulderMovementMain musclesAccessory musclesFlexioni) C lavicutar head of pectoralis majorii) Anterior fibers of deltoidi) Corachobrachialisii) Short head of bicepsiii) Sternocostal head of pectorali s majorExtensioni) Posterior fibres of deltoidii) Latissimus dorsii) Teres majorii)Long head of tricepsAdductioni) Pectoralis majorii) Latissimus dorsii) Teres majorii) Corachobrachialisiii) Short head of bicepsiv) Long head of tricepsAbduction1) Deltoid (middle or acromial fibers)ii) Supraspinatusiii) Serratus anterioriv) L pper and lower fibers of trapezius Medial rotationi) Pectoralis majorii) Anterior fibers of deltoidiii) Latissimusdorsiiv) Teres majori) StibscapularisLateral rotationi) Posteri or fi bers o f deltoidii) infraspinatusiii) Teres minor